Which of the following is a membrane bound enzyme that catalyzes the formation of cyclic AMP from ATP?
1. Tyrosine kinase
2. Polymerase
3. ATP synthase
4. Adenylate cyclase

Correct answer: 4. Adenylate cyclase